Sialography is used to detect anomaly of:
1. Salivary duct only
2. Salivary gland
3. Salivary gland & duct
4. Salivary gland tumours

Correct answer: 3. Salivary gland & duct